Angiosarcoma of liver is associated with -
1. Nickel
2. Chromium
3. Cadmium
4. Arsenic

Correct answer: 4. Arsenic

Explanation: Ans. is 'd' i.e., ArsenicAngiosarcoma of liver is associated with exposure to --> 1) Vinyl chloride, 2) Arsenic, 3) Thorotrast